Multipurpose workers were recommended by:-
1. Bhore committee
2. Chadah committee
3. Kartar Singh committee
4. Srivastava committee

Correct answer: 3. Kartar Singh committee

Explanation: Kartar singh committee (1973) : - 'Committee on multipurpose worker under health and family planning'. - Recommended 'female health supervisor' and 'Male health supervisor'. - 1 PHC per 50,000 population.